In breast lactiferous ducts are formed under the influence of which hormone?
1. Estrogen
2. Progesterone
3. LH
4. FSH

Correct answer: 1. Estrogen

Explanation: Lactiferous ducts are one of the ducts, numbering 15-20, which drain the lobes of the mammary gland; they open at the nipple.Ref: Ganong's review of medical physiology; 24th edition; page no: 416